Staphylococcus aureus does not cause which of the following skin infection:
1. Ecthyma gangrenosum
2. Bullous impetigo
3. Botryomycosis
4. Cellulitis

Correct answer: 1. Ecthyma gangrenosum

Explanation: Ans. is. a. Ecthyma gangrenosum